In which of the following condition is external cephalic version (ECV) contraindicated?
1. PIH
2. Anaemia
3. Primigravida
4. Flexed breech

Correct answer: 1. PIH

Explanation: External cephalic version is contraindicated in conditions such as placenta previa, multiple pregnancies, history of antepartum hemorrhage, IUGR, and in those with pre eclampsia or hypertension. It is relatively contraindicated in those with scars. Ref: Dewhurst's Textbook of Obstetrics and Gynaecology By Keith Edmonds, Page 215; Textbook of Obstetrics By D. C Dutta, 6th Edition, Page 583-4.